Flat vegetations in pockets of valves are due to :
1. Rheumatic heart disease
2. Libman sacks Endocarditis
3. NBTE
4. Infective endocarditis

Correct answer: 2. Libman sacks Endocarditis

Explanation: Answer is B (Libman sach's Endocarditis) Flat vegetation in pockets of valves are charachteristic of Libman sach's endocarditis